A 30 yr old multipara, hypertensive woman complaints of menorrhagia. Which is best treatment for her?
1. Combined pills
2. MIRENA
3. Hysterectomy
4. Transcervical resection of endometrium

Correct answer: 2. MIRENA

Explanation: MIRENA is a levonorgestrel containing IUD particularly in elderly parous women assuming that they have no history of PID, ectopic pregnancy, leukemia, sickle cell disease or valvular heart disease. In this patient MIRENA is the best treatment for her. It is an effective alternative to hysterectomy to reduce heavy vaginal bleeding. IUD is not indicated for young nulliparous women due to the potential for dysmenorrhea and high risk of STD. Combined OCP is a well accepted and safe method of contraception for teens.